Maximum contribution to the floor of orbit is by which bone?
1. Maxillary
2. Zygomatic
3. Sphenoid
4. Palatine

Correct answer: 1. Maxillary

Explanation: Ans. A MaxillaryRef: Gray's Anatomy, 39th ed. pg. 477, 479* The maxillae are the largest of the facial bones, other than the mandible, and jointly form the whole of the upper jaw. Each bone forms the greater part of the floor and lateral wall of the nasal cavity, and of the floor of the orbit* "Orbital surface of maxilla is smooth and triangular; and forms most of the floor of the orbit"* The seven bones that articulate with orbit are:# Frontal bone (Roof)# Lacrimal bone (Medial wall of orbit)# Ethmoid bone (Medial wall of orbit)# Maxillary bone (Floor of orbit)# Palatine bone (Floor of orbit)# Sphenoid bone (Lateral wall of orbit)# Zygomatic (Lateral wall of orbit)Extra Mile* Maxilla is also the most common fracture of orbital floor* The floor (inferior wall) is formed by the orbital surface of maxilla, the orbital surface of Zygomatic bone and the orbital process of palatine bone.Note: The nasal bone does not form part of the orbit.